Mononeutritis multiplex is a major presenting feacture of -
1. Systemic necrotising vasculitis
2. Wagner's granulomatosis
3. Hypersensitivity vasculitis
4. Mucocutaneaous lymphnode syndrome

Correct answer: 1. Systemic necrotising vasculitis